Muscle's of anterior compartment of leg is/ are:
1. Peroneus tertius
2. Peroneus brevis
3. Peroneuslongus
4. Flexordigitorumlongus

Correct answer: 1. Peroneus tertius

Explanation: Ans. (a) Peroneus tertiusThe 4 muscles in the anterior compartment of the leg are- the tibialis anterior, extensor digitorum longus, extensor hallucis longus, and fibularis(Peroneus) tertius